Post-styloid space of parapharyngeal space contains all, EXCEPT:
1. Cranial nerve IX
2. Cranial nerve XII
3. Parotid
4. Lymph nodes

Correct answer: 3. Parotid

Explanation: The parapharyngeal space is a potential space, shaped like an inverted pyramid spanning the skull base to the hyoid. The boundaries of the space are separated by the styloid process and its associated fascial attachments into the "prestyloid" and "poststyloid" compartments. The contents of the prestyloid space are the parotid, fat, and lymph nodes. The poststyloid compartment is composed of CNs IX to XII, the carotid space contents, cervical sympathetic chain, fat, and lymph nodes. Ref: Schwartz's principle of Surgery 9th edition, chapter 18.